All the following organs likely undergo coagulative necrosis except-
1. Spleen
2. Heart
3. Kidney
4. Brain

Correct answer: 4. Brain

Explanation: Coagulative necrosis

This is the most common type of necrosis.
This type of necrosis is most frequently caused by sudden cessation of blood flow (ischemia) in organs such as heart (MI), Kidney (ATX), adrenal gland, and spleen. 
Note: The brain is the only exception, i.e., It is the only solid organ in which ischemia leads to liquefactive necrosis not coagulative necrosis.